Chronic granulomatous inflammation in upper lid (painless swelling);
1. Internal Hordeolum
2. External hordeolum
3. Chalazion
4. Trachoma

Correct answer: 3. Chalazion

Explanation: Chalazion is a chronic granulomatous inflammation of the meibomian gland. Chalazion (tarsal cyst/meibomian cyst) Presents as painless swelling of eye lid More common in adults than children Treatment Incision and curettage Intralesional injection of triamcinolone acetate. CHALAZION